Opening of nasolacrimal duct is situated in:
1. Superior meatus
2. Middle meatus
3. Ethmoid infundibulum
4. inferior meatus

Correct answer: 4. inferior meatus

Explanation: Also remember other structures opening in different meatuses.Superior meatus: Posterior ethmoid cellsMiddle meatus: Frontal sinus, maxillary sinus and anterior group of sinusesEthmoid infundibulum: A part of middle meatus, maxillary and sometimes the frontal sinus opens in itInferior meatus: Nasolacrimal ductSphenoethmoid recess: Sphenoid sinus